The following ligments are present in temporomandibular joint except -
1. Lateral temporomandibular ligament
2. Sphenomandibular ligament
3. Stylomandibular ligament
4. Alar ligament

Correct answer: 4. Alar ligament